Not included in modified Jones criteria-
1. Prolonged QRS interval
2. Carditis
3. Chorea
4. Erythema marginatum

Correct answer: 1. Prolonged QRS interval